The syndrome which consists of cleft palate, micrognathia
and glossoptosis is known as
1. Marfan's syndrome
2. Crouzon's syndrome
3. Paget's disease
4. Pierre Robin syndrome

Correct answer: 4. Pierre Robin syndrome